Dissociated sensory loss is seen in
1. Syringomyelia
2. Vitamin B12 deficiency
3. Transverse myelitis
4. Pellagra

Correct answer: 1. Syringomyelia

Explanation: Harrison's principles of internal medicine 17th edition. * The classical presentation in syringomyelia is a central cord syndrome consisting of a dissociated sensory loss and areflexic weakness in upper limbs